Thiamine pyrophosphate is coenzyme required for all except
1. Branched - chain amino acid dehydrogenase complex
2. 2 - hydroxy phytanoyl - CoA lyase
3. Transketolase
4. transamination

Correct answer: 4. transamination

Explanation: Coenzyme Role of Thiamine Pyrophosphate Thiamine generally function in the decarboxylation reaction of alpha-keto acids and branched chain amino acids Pyruvate dehydrogenase which converts Pyruvate to Acetyl CoA aKetoGlutarate dehydrogenase in Citric Acid Cycle which converts a KetoGlutarate to Succinyl CoA Branched Chain Ketoacid dehydrogenase which catalyses the oxidative decarboxylation of Branched Chain Amino acids Trans Ketolase in the Pentose Phosphate Pathway. This is the biochemical basis of assay of Thiamine status of the body. pyridoxal phosphate is involved in transamination ref DM Vasudevan 8th ed page 467